Skeletal element of second branchial arch-
1. Malleus
2. Incus
3. Meckel's cartilage
4. Stapes

Correct answer: 4. Stapes

Explanation: D i.e. Stapes